All the following vessels end directly in the right atrium except
1. Coronary sinus
2. Oblique vein of left atrium
3. Anterior cardiac vein
4. Venae cordis minimae

Correct answer: 2. Oblique vein of left atrium

Explanation: Superior vene cava, inferior vene cava,coronary sinus, anterior cardiac veins ,vene cordis minimi. these are the veins that directly open to right atrium. BD CHAURASIA'S HUMAN ANATOMY.VOLUME 1.6 TH EDITION.PAGE NO 255